The commonest site of peptic ulcer is
1. 1st part of duodenum
2. 2nd part of duodenum
3. Distal 1/3 of stomach
4. Pylorus of the stomach

Correct answer: 1. 1st part of duodenum

Explanation: Conditions also. with peptic ulcer have already been described. Plummer Vinson Paterson Kelly syndrome consists of :- Iron deficiency anemia Dysphasia atrophic oral mucosa, glossitis brittle spoon-shaped fingernails. Typically pts are Woman over 40 yrs of age. Its a Pre-malignant condition* for both oral cavity & esophagus. Ref : S Das textbook, 3/e, p818